Which of the following antibiotic is the drug of choice in the treatment of lymphedema?
1. Penicillin
2. Amikacin
3. Metronidazole
4. Ceftazidime

Correct answer: 1. Penicillin

Explanation: Penicillin 500mg given three to four times daily is the drug of choice in the treatment of lymphedema. Most common organisms causing soft tissue infection in patients with lymphedema are Staphylococcus and beta hemolytic Streptococcus. Lymphedema is a chronic condition caused by ineffective lymphatic transport which results in edema and skin damage. It is usually caused by lymphatic hypoplasia, functional insufficiency or absent lymphatic valves. It is classified into primary and secondary lymphedema. Primary lymphedema can be further classified into congenital lymphedema, lymphedema precox and lymphedema tarda. Secondary lymphedema can occur secondary to lymph node dissection, radiotherapy, trauma, infection and malignancy. Ref: Schwartz's Principles of Surgery, 9e, chapter 24